GFR of stage 3 chronic kidney disease is
1. 40ml/min/1.73m2
2. 60ml/min/1.73m2
3. 25ml/min/1.73m2
4. None of the above

Correct answer: 1. 40ml/min/1.73m2

Explanation: Stages of CKD :



Stage
Description
GFR (ml/min/1.73m2)


1
Kidney damage with normal or increased GFR
>90


2
Kidney damage with mild decrease in GFR
60-89


3
Moderate decrease in GFR
30-59


4
severe decrease in GFR
5-29


5
Kidney failure 
<15 or an dialysis